Medical line of treatment for acute retrobulbar haemorrhage
1. 200 ml 20% mannitol
2. Acetazolamide 500 mg IV
3. Hydrocortisone 100 mg IV
4. All of the above

Correct answer: 4. All of the above